NADPH is produced by -
1. Glycolysis
2. Citric acid cycle
3. Hexose monophosphate shunt
4. Glycogenesis

Correct answer: 3. Hexose monophosphate shunt

Explanation: Ans. is 'c' i.e., Hexose monophosphate shunt o HMP shunt is particularly important for two purposesi) Synthesis of ribose for nucleotide and nucleic acid formation.ii) Formation of NADPH which plays important role in several other biological processes, e.g. synthesis of fatty acids, cholesterol, steroid hormones and neurotransmitters.